Increased alkaline phosphate in seen in -a) Multiple myelomab) Primary hyperparathyroidismc) Chronic renal failured) Osteoporosis
1. a
2. c
3. bc
4. ad

Correct answer: 3. bc

Explanation: Whenever the activity of osteoblasts increase, serum alkaline phosphatase is raised. Therefore, serum alkaline phosphatase acts as an index of osteoblastic activity.
The conditions in which osteoblastic activity is increased and hence the alkaline phosphatase in increased are : -


Rickets/osteomalacia        
Primary hyperparathyroidism        
Renal osteodystrophy (secondary hyperparathyroidism)
Chronic renal failure and secondary hyperparathyroidism
Paget's disease (osteitis deformans)
Osteoblastic secondaries